Standard deviation is the measure of:
1. Chance
2. Central tendency
3. Deviation from mean value
4. None

Correct answer: 3. Deviation from mean value

Explanation: STANDARD DEVIATION (SD) SD is the measure of Deviation from mean value. SD is most common and generally most appropriate measure of dispersion SD is defined as the 'root-mean-square (RMS) deviation of the values from their mean', or as the square root of the variance SD calculation: =